All of the following ocular muscles are supplied by CN III EXCEPT:
1. Superior rectus
2. Superior oblique
3. Inferior rectus
4. Medial rectus

Correct answer: 2. Superior oblique

Explanation: Ans. (b) Superior obliqueRef: A.K. Khurana 6th ed. / 5-6, 337EXTRA-OCULAR MUSCLES# The extraocular muscles control the movement of the eye.# Levator Palpabrae Superioris (LPS): muscle which elevates the palpabrae upwards resulting in opening the eye.# When LPS gets tired, mullers muscle and frontalis muscle helps in elevation of eyelid.* Eyeball muscles (6):# 4 Recti muscles: superior (SR), inferior (IR), lateral (LR) and medial rectus (MR)]# 2 Oblique muscles: superior oblique and inferior oblique* The muscles supplied by the occulomotor nerve (CN III) are: superior, inferior and medial rectus and inferior oblique, sphincter papillae and ciliary muscle.* Lateral rectus is supplied by abducens (VI)* Trochlear nerve (CN IV) supplies superior oblique muscle.* Mnemonic: LR6, S04, 03; which means lateral rectus is supplied by sixth nerve, superior oblique by fourth nerve and all other by EOM by third cranial nerve.